Which of the following agents is recommended for medical treatment of variceal bleed -
1. Octreatide
2. Desmopresin
3. Vasopressin
4. Nitroglycerine

Correct answer: 1. Octreatide

Explanation: The vasoconstrictors somatostatin and octreotide are used to treat acute bleeding in patients with portal hypertension before performing endoscopy. Intravenous infusions of octreotide will lower portal blood pressure and can prevent rebleeding during the patient's initial hospitalization Ref Davidson edition23rd pg868